Skeletal maturity is indicated by:
1. Carpals
2. Radius, Ulna
3. Both 1 and 2
4. None

Correct answer: 3. Both 1 and 2

Explanation: Various methods have been proposed for assessment of skeletal maturity. These include:

Chronological age
Peak height velocity (PHV)
Dental age
Hand-wrist radiographs
Cervical vertebral maturation index (CVMI).

Fishman (1982) developed the system for the evaluation of skeletal maturity on a hand-wrist radiograph and investigated its association with craniofacial growth. He called it skeletal maturation assessment (SMA), which is based on skeletal maturity indicators.
The system uses only four stages of bone maturation:

Epiphyseal widening of the phalanges
Ossiﬁcation of the adductor sesamoid of the thumb
Capping of epiphyses over their diaphysis
Fusion of epiphyses and diaphysis.

These stages of bone formation are found at six anatomical sites located on the thumb, third ﬁnger, ﬁfth ﬁnger and radius.